All are cardiotoxic except -
1. Aconite
2. Opium
3. Oleander
4. Nicotine

Correct answer: 2. Opium

Explanation: Classification A. Based on Nature of Poison I. Corrosive a. Strong acids-- Mineral or inorganic acids, e.g. H2SO4, HCL -- Organic acids, e.g. carbolic, acetic, oxalic acid b. Strong alkalis, e.g. sodium hydroxide c. Metals, e.g. mercuric chloride, ferric chloride. II. Irritants a. Inorganic -- Non-metal, e.g. phosphorus, iodine -- Metal, e.g. arsenic, lead etc. b. Organic -- Animal, e.g. snake, scorpion -- Plant or vegetable, e.g. castor, calatropis etc. c. Mechanical, e.g. chopped hair, metal pieces etc. III. Systemic a. Cerebral poisons -- Somniferous -- Inebriants -- Stimulants -- Deliriant -- Depressant -- Psychotropics b. Spinal poisons, e.g. strychnine c. Peripheral nerve poison, e.g. curare d. Cardiac poison or cardio-toxic, e.g. aconite,oleander,nicotine e. Asphyxiants, e.g. carbon monoxide f. Nephrotoxic, e.g. mercury g. Hepatotoxic, e.g. phosphorus IV. Miscellaneous, e.g. food poisoning B. Based on Manner of Use 1. Homicidal poisons 2. Suicidal poisons 3. Accidental poisons 4. Aboifaciant poisons 5. Stupefying poisons 6. Cattle poisons 7. Arrow poisons 8. Use to fabricate injury or malingering 9. Use to cause injury 10. Use for torture C. Based on Source of Poison REF:THE SYNOPSIS OF FORENSIC MEDICINE AND TOXICOLOGY:K S NARAYANA REDDY;PAGE NO 278